When gap between the fracture segment is between 0.3-1mm, then healing occurs as:
1. Direct lamellar bone formation.
2. Woven bone formation later on replaced by lamellar bone.
3. Secondary healing.
4. Any of the above.

Correct answer: 2. Woven bone formation later on replaced by lamellar bone.